All are true about Exudates EXCEPT
1. Multiple poymorphs cells
2. Protein < 1 gm
3. Specific gravity >1.015
4. Turbid appearance fluid

Correct answer: 2. Protein < 1 gm

Explanation: B. i.e. (Protein < 1 gm) (1658 - H16th)Difference between Transudate and Exudate pleural effusion TRANSUDATEEXUDATES1. ProcessPassiveActive2. Serous structuresOthersOnly locals3. AppearanceClearClear / turbid4. Specific gravity<1.015>1.0155. Proteins*<3gm>3gm6. Cells*Few mesothelial cellsPolymorphs or lymphocytes7. Clot formationNilPresentA pleural exudates is an effusion that has one or more of the following laboratory features(i) Ratio of pleural fluid protein to serum protein >0.5 (50%)(ii) Ratio of pleural fluid LDH to serum LDH > 0.6 (60%)(iii) Pleural fluid LDH greater than two - thirds the upper limit of normal serum LDH Causes of Transudative Pleural Effusions1. CHF5. Peritoneal dialysis2. Cirrhosis6. SVC3. Pulmonary embolization7. Myxedema4. Nephrotic syndrome8. Urinothrax Causes of Haemorrhagic Pleural Effusions1. Trauma5. Acute haemorrhagic pancreatitis2. Tumour6. Bleeding disorder3. Tuberculosis7. Coxsackie- B virus infections4. Pulmonary infaction * Best view to demonstrate a small pleural effusion is - Lateral decubitus**